A 9 month old child has been brought to the emergency measles. He should be administered with vitamin A in a dose of:
1. 50,000 IU
2. 1,00,000 IU
3. 1.50,000 IU
4. 2,00,000 IU

Correct answer: 2. 1,00,000 IU

Explanation: Ans. B. 1,00,000IUVitamin A is given to children less than three years old since they are at greatest risk and administration of the first two doses is linked with routine immunization to improve the coverage. Hence a dose of 1,00,000IU is given with measles vaccine at 9 months and 2,00,000IU with DPT booster at 15-18 months.